The first community Water Fluoridation was carried out in:
1. 1945, Colorado
2. 1945, Grand Rapids
3. 1945, Oak Park
4. 1945, Evanston

Correct answer: 2. 1945, Grand Rapids